Infant mortality does not include:
1. Early neonatal mortality
2. Perinatal mortality
3. Post neonatal mortality
4. Late neonatal mortality

Correct answer: 2. Perinatal mortality

Explanation: Perinatal mortality is not exclusive to infant mortality. It includes both late foetal deaths (still birth) and early neonatal deaths. The WHO definition of perinatal mortality is all stillbirths (however they are defined) plus all early neonatal deaths up to 28 days per thousand births. Ref: Park's Textbook Of Preventive And Social Medicine By K. Park, 19th Edition, Page 449; Park's Textbook Of Preventive And Social Medicine By K. Park, 18th Edition, Page 415; Medical Informatics In Obstetrics And Gynecology By David Parry, Emma Parry, 2009